Phobia is exaggerated form of
1. Fear
2. Anger
3. Suspicion
4. Love

Correct answer: 1. Fear

Explanation: When the fear becomes exaggerated or unnecessary, it is called a phobia.A phobia is a type of anxiety disorder.Park 23e pg: 675